Which of the following is not true about amoebiasis?
1. ALA in 10% causes in tropics
2. Portal system efficient filter
3. Abscess due to suppuration
4. Abscess wall good for culture

Correct answer: 3. Abscess due to suppuration

Explanation: Ans. is 'c' i.e., Abscess due to suppuration Amebic liver abscess o Pus in amoebic liver abscess is not due to suppuration, but is a mixture of sloughed liver tissue and blood. o It is chocolate brown in colour and thick in consistency (anchovy sauce pus) o In the tropics 2-10% of the individuals infected with entamoeba histolytica suffer from hepatic complications. The trophozoites are carried from the large intestine to the liver by portal vein. In the liver the capillary system acts as efficient filter and holds these parasites. o In case of amoebic liver abscess the diagnostic aspiration is done from the abscess wall because the trophozoites are confined to the periphery.